Putrefaction is delayed in all except -
1. Warm moist atmosphere
2. Carbolic acid poisoning
3. Anemia
4. Heavy metals poisoning

Correct answer: 1. Warm moist atmosphere

Explanation: Putrefaction is usually early in warm moist atmosphere due to favourable activity of bacteria. Dr. Narayana Reddys Synopsis of Forensic Medicine & Toxicology 27 th edition pg. 85.